Culture medium used for leptospira for laboratory diagnosis:
1. Skirrows medium
2. EMJH medium
3. BYCE agar
4. Pike's medium

Correct answer: 2. EMJH medium

Explanation: Ans (b) EMJH medium